Which of the following brain tumors does not metastasize the Cerebrospinal fluid (CSF)?
1. Germ cell tumors
2. Medulloblastoma
3. CNS Lymphoma
4. Craniopharyngioma

Correct answer: 4. Craniopharyngioma

Explanation: Craniopharyngiomas are rare, usually suprasellar, partially calcified, solid or mixed solid-cystic benign tumors that arise from remnants of Rathke's pouch. They do not metastasise. They have a bimodal distribution, occurring predominantly in children but also between the ages of 55 and 65 years. They present with headaches, visual impairment, and impaired growth in children and hypopituitarism in adults. Treatment involves surgery, radiotherapy, or the combination of the two. Ref: Harrison's Internal Medicine, 18th Edition, Page 2271 ; Scwartz's Principles of Surgery, 9th Edition, Chapter 42 ; Williams Hematology, 8th Edition, Chapter 97